Fully embryonated egg of trichuris trichiura contains -
1. Eight blastomeres
2. Unsegmented ova
3. Rhabditiform larva
4. Ciliated embryo

Correct answer: 3. Rhabditiform larva

Explanation: Life cycle of Trichuris trichiura. 1. Adult male and female in human caecum. 2 Freshly passed egg in faeces, containing unsegmented ovum. Not infective. 3. Mature egg in soil, containing coiled rhabditiform larva. Infective stage TEXTBOOK OF MEDICAL PARASITOLOGY,CKJ PANIKER,6TH EDITION,PAGE NO 167